Minimum hemoglobin levels in pregnancy below which anemia occur is?
1. 9 mg %
2. 10 mg %
3. 11 mg %
4. 12 mg 70

Correct answer: 3. 11 mg %

Explanation: 11 mg % REF: With text Repeat from June 2009 "The Centers for Disease Control defines anaemia as a hemoglobin concentration of less than 11 g/dL (hematocrit of < 33%) in the first or third trimester or a hemoglobin concentration of less than 10.5 g/dL (hematocrit < 32%) in the second trimester" (REF: COGT 10th edition Chapter 26, Dutta 6th ed p 262) Anaemia is defined as hemoglobin concentration less than 12 g/dL in nonpregnant women and less than 10 g/dL during pregnancy or the puerperium. (REF: Williams 22 edition chapter 51 table 51-1)